Drug of choice for treatment of infestation due to Onchocerca volvolus is:
1. Albendazole
2. Ivermectin
3. Praziquantal
4. Suramin

Correct answer: 2. Ivermectin

Explanation: (Ref: KDT 6/e p813, 8140 Ivermectin is used for onchocerca and strongyloides, for all other nematodes, DOC is albendazole and for cestodes and flukes, DOC is praziquantal.